Enterically transmitted NANB is -
1. Hepatitis B virus
2. Hepatitis C virus
3. Hepatitis E virus
4. Hepatitis A virus

Correct answer: 3. Hepatitis E virus

Explanation: TypeE hepatitis is enterically transmitted NANB
REF:MICROBIOLOGY ANANTHA NARAYANAN NINTH EDITION PAGE.550